Tonsils are lined by which epithelium
1. Simple squamous
2. Stratified columnar
3. Stratified squamous
4. Simple cuboidal

Correct answer: 3. Stratified squamous